A commonest side effect of Dapsone is :
1. Hemolytic anemia
2. Thrombocytopenia
3. Cyanosis
4. Bone marrow depression

Correct answer: 1. Hemolytic anemia

Explanation: Hemolysis develops in almost every individual treated with 200-300 mg dapsone per day. Doses of less than 100 mg in healthy persons and less than 50 mg per day in persons with G-6PD deficiency do not cause hemolysis. Methemoglobinemia is also very common.